Caries associated with sealants is assessed by:
1. ICDAS & CARS
2. ICDAS only
3. DMFT & DMFS
4. Transillumination

Correct answer: 1. ICDAS & CARS

Explanation: ICDAS—International Caries Detection and Assessment System
CARS—Caries Adjacent to Restorations & Sealants
CAMBRA—Caries Management by Risk Assessment (In USA)
The ICDAS records caries in 2 stages: